Surgery for varicose veins is contraindicated by even stripping in
1. DVD
2. DVT
3. Atherosclerosis
4. None

Correct answer: 2. DVT

Explanation: DVT is a contraindication for the treatment of varicose veins Varicose vein surgery should be never attempted in a case where DVT exists along with varicose veins, because in these cases, superficial veins are the only valved venous pathway and excising them will only aggravate the condition Ref: Sabiston 20th edition Pgno :1836